Triple arthrodesis involves -
1. Calcaneocuboid, talonavicular and talocalcaneal
2. Tibiotalar, calcaneocuboid and talonavicular
3. Ankle joint, calcaneocuboid and talonavicular
4. None of the above

Correct answer: 1. Calcaneocuboid, talonavicular and talocalcaneal

Explanation: Triple arthodesis - * indicated for children more than 10 years with CTEV * it is functionally and cosmetically superior. * lateral close wedge osteotomy through subtalar & midtarsal joints is done to fuse all the three joints of foot namely subtalar(talocalcaneal),talonavicular, calcaneocuboid joints. REF:Textbook of orthopedics ,John Ebenezer, 4th edition ,pg no.509